A patient with HIV has diarrhoea with AFB (+)ve organism in stool. The most likely organism is -
1. Mycobacterium avium intracellulare
2. Mycobacterium TB
3. Mycobacterium leprae
4. Mycoplasma

Correct answer: 1. Mycobacterium avium intracellulare

Explanation: respiratory infection (TB) most redponsible organism is M.avium intracrllularlae REF:MICROBIOLOGY ANANTHA NARAYANAN NINTH EDITION PAGE.576